False about Phaeohyphomycosis is
1. Produces brain abscess
2. Exists in hyphal form
3. Produces Sclerotic bodies
4. Caused by dematiceous fungi, other than fungi of chromoblastomycosis

Correct answer: 3. Produces Sclerotic bodies

Explanation: They do not produce Sclerotic bodies.
Sclerotic bodies are seen in chromoblastomycosis.